Which of the following is not gram-positive?
1. Listeria
2. Moraxella
3. Nocardia
4. Actinomycetes

Correct answer: 2. Moraxella

Explanation: Cocci are mostly gram positive except Bacilli are mostly gram negative except -meningococci -gonococci -veilonella -MORAXELLA M- Mycobacrerium A-Anthracis bacillus C-Clostridium species D-Diptheriae cornybacterium o N Nocardia A Actinomycetes L -Listeria D -Diptherioids s